The temperature of the body rises up for first two hours after death. The probable condition include folowing except :
1. Sun-stroke
2. Frost-bite
3. Septicemia
4. Tetanus

Correct answer: 2. Frost-bite

Explanation: B i.e. Frost Bite